When can a severely malnourished child be safely discharged from the hospital ?
1. The child attains his height for age
2. The child reaches his ideal weight for height
3. The child loses edema and starts gaining weight
4. The child attains weight for his age

Correct answer: 3. The child loses edema and starts gaining weight

Explanation: Criteria for discharge in PEM

The appetite should have retured and oral intake is adequate.
Gain in body weight with loss edema.
All infections, mineral and vitamin deficiencies should have been treated.
Mother should have been educated regarding domiciliary care.